Risk factor intervention trials for coronary heart diseases are all, EXCEPT:
1. Stanford -Three Community Study
2. North Kerelia Project
3. Lipid Research Clinics Study
4. Single Risk Factor Intervention Trial (SR-FIT)

Correct answer: 4. Single Risk Factor Intervention Trial (SR-FIT)

Explanation: Multiple Risk Factor Intervention Trial (MRFIT) in the US is an example of this. Onslow diet/smoking intervention study is another famous trial. Ref: Park's textbook of Preventive and Social Medicine, 21st edition, page-343